Which one of the following virus is double stranded RNA virus?
1. Hepatitis -A
2. Hepatitis-E
3. Reo virus
4. Corona virus

Correct answer: 3. Reo virus

Explanation: All RNA viruses are single stranded except Reo virus.